BAL is used as an antidote poisoning by:
1. Morphine
2. Aconite
3. Phenol
4. Mercury

Correct answer: 4. Mercury

Explanation: D i.e. Mercury BAL or Dimercaprol is used in poisoning by Au, Cu; Bi, Ni; As, Sb, Hg (mercuryQ)